Which property was demonstrated by Griffith with experiments on mice using pneumococcus
1. Lysogenic conversion
2. Transduction
3. Transformation
4. Conjugation

Correct answer: 3. Transformation

Explanation: Transformation is the transfer of genetic information through the agency of free DNA. On repeated subculture, Streptococcus pneumoniae undergo smooth to rough variation. In the R form, the colonies are rough and the cocci are non-capsulated, autoagglutinable and avirulent. R form arises as spontaneous mutants and outgrows the parental S form in artificial culture. In tissues, such R forms are eliminated by phagocytosis Reference: Textbook of Microbiology; Anathanarayan and panicker's; 10th edition; Page no: 59, 226